Negri bodies m/c seen in
1. Cerebellum
2. Hippocampus
3. Pons
4. Medulla

Correct answer: 2. Hippocampus

Explanation: Negri bodies most abundant in Hippocampus followed by cerebellum and pons.